Forms of skin tuberculosis include all EXCEPT:
1. Lupus vulgaris
2. Scrofuloderma
3. Exanthematous lesions
4. Erythema annulare

Correct answer: 4. Erythema annulare

Explanation: Erythema annulare centrifugum (EAC) is a rare cutaneous disease characterized by an asymptomatic or pruritic eruption of variable duration that usually involves the thighs and the legs. Classification Of Skin Tuberculosis Patients with good resistance Patients with absent or poor resistance 1 Lupus vulgaris 1. Miliary tuberculosis. 2 Scrofuloderma 2. Primary tuberculous complex 3 Tuberculosis verruca cutis 4 Tuberculids. 5 Exanthematous lesions 6 Tuberculosis miliaris disseminata 7 Lupus miliaris disseminatus fasciei 8 Papulonecrotic Tuberculids 9 Lichen Scrofuloderma